Hangman's fracture is-
1. Subluxation of C5 over C6
2. Fracture dislocation of C2
3. Fracture dislocation of ankle joint
4. Fracture of odontoid

Correct answer: 2. Fracture dislocation of C2

Explanation: * Hangman's fracture is bilateral fracture of the pars interarticularis of axis (c2) with traumatic sponsylolisthesis of axis (C2) over C3 vertebrae. Thus Hangman's fracture is not simply a fracture, but fracture dislocation of axis (C2). Ref: Surgical treatment of orthopedic trauma 4th/e p.116